Characteristic feature of malignant gastric ulcer seen on Barium meal
1. Hampton line
2. Carman meniscus sign
3. Ulcer cap
4. Ulcer crater

Correct answer: 2. Carman meniscus sign

Explanation: Radiological features of Benign gastric ulcer Collection of barium on dependent wall Round, oval, linear in shape with a ring shadow May project beyond the gastric lumen Hampton's line- a thin lucent line crossing the ulcer base Ulcer collar- thicker smooth rim of lucency at the ulcer base Ulcer mound- with increasing edema, symmetrically gently sloping mass can be seen. Features suspicious for malignancy Location within fundus or proximal half of greater curvature Incomplete healing Loss of mucosal pattern Carmen meniscus sign- characterized by lentiform shaped appearance of inner margin.